Major regulator of interdigestive myoelectric complexes
1. VIP
2. GIP
3. Motilin
4. Neurotensin

Correct answer: 3. Motilin

Explanation: C i.e. Motilin - Glucagon derivative GLP- 1 (7-36) amide (most potent) > gastric inhibitory peptide (GIP) also known as glucose -dependent insulinotropic polypeptide >> gastrin, CCK, secretin and glucagon stimulates insulin secretionQ. But only GLP-1 (7-36) amide & GIP stimulate insulin secretion when adminstered in dose that produce blood levels comparable to those produced by oral glucose. - Motolin is secreted by entero chromaffin cells & M0 cells in stomach, small intestine and colon during fasting. It is released cyclically (so 1' ed levels) at intervals of 90- 100 minutes in a fasted person which stimulates waves of gastrointestinal motality called myoelectric interdigestive cmplexes (MIC). Erythromycin binds to motolin receptors so its derivatives may be of value in treating decreased intestinal motality. - Neurotensin is produced by neurons & cells of ileum. Its release is stimulated by fatty acid and it increases ileal blood flow and inhibits gastro intestinal motality. - GIP is produced by K cells in mucosa of duodenum & jejunum. Its secretion is stimulated by glucose & fatQ in duodenum. It is named so because in large doses it inhibits gastric secretion & motality. However in small dose (that are seen after meal) it does not have significant gastric inhibitory activity.